Which of the following are liable cells?
1. Cardiac myocytes
2. Bone marrow cells
3. Hepatocytes
4. Fibroblasts

Correct answer: 2. Bone marrow cells

Explanation: Continuously dividing cells are called as liable cells.
Option C and D - Stable cells
Option A - Permanent cells